All are advantages of Zinc therapy for Wilson disease except:
1. It is nontoxic
2. Produces positive copper balance
3. Blocks intestinal absorption of copper
4. Induces hepatic metallothionein synthesis

Correct answer: 2. Produces positive copper balance

Explanation: Zinc treatment in wilson disease: It is efficient in Wilson's disease Nontoxic Produces a negative copper balance by blocking intestinal absorption of copper It induces hepatic metallothionein synthesis, which sequesters additional toxic copper Ref: Harrison, E-18, P-3190.